In conn's syndrome the following is/are true -a) Diastolic HTN without oedema b) Systolic HTN without oedemac) Pseudotetanyd) Hyper Na+e) Hyper K+
1. b
2. ad
3. ac
4. ab

Correct answer: 2. ad